Blue vire technology is used in
1. VorTEX
2. VorTEX Blue
3. D3XF
4. Twisted Blue

Correct answer: 2. VorTEX Blue

Explanation: VorTEX uses M wire NiTi